Keratohyaline granules are present in which layer
1. Stratum corneum
2. Stratum spinosum
3. Stratum granulosum
4. Stratum basale

Correct answer: 3. Stratum granulosum

Explanation: Stratum granulosum It has flattened cells with prominent basophilic keratohyaline granules, which contain profilaggrin (converted to filaggrin at junction of stratum granulosum and stratum corneum), loricrin, keratin intermediate filaments, and involucrin. Ref:- Review of Dermatology by Alikhan; pg num:- 2